Which of the following pharyngeal arches develops into epiglottis?
1. 1st pharyngeal arch
2. 2nd pharyngeal arch
3. 4th pharyngeal arch
4. 3rd pharyngeal arch

Correct answer: 3. 4th pharyngeal arch

Explanation: Pharyngeal archMuscular contributionsSkeletal contributionsNerveArtery1st (also called "mandibular arch")Muscles of mastication, anterior belly of the digastric, mylohyoid, tensor tympani, tensor veli palatiniMaxilla, mandible (only as a model for mandible not actual formation of mandible), the incus and malleus of the middle ear, also Meckel's cartilageTrigeminal nerve(V2 and V3)Maxillary artery, external carotid artery2nd (also called the "hyoid arch")Muscles of facial expression, buccinator, platysma, stapedius, stylohyoid, posterior belly of the digastricStapes, styloid process, hyoid (lesser horn and upper part of body), Reichert's cartilageFacial nerve (VII)Stapedial artery, hyoid artery3rdStylopharyngeusHyoid (greater horn and lower part of body), thymus, inferior parathyroidsGlossopharyngeal nerve (IX)Common carotid, internal carotid4thCricothyroid muscle, all intrinsic muscles of soft palate including levator veli palatiniThyroid cartilage, superior parathyroids, epiglottic cartilageVagus nerve (X), superior laryngeal nerveRight 4th aortic arch: subclavian arteryLeft 4th aortic arch: aortic arch6thAll intrinsic muscles of larynx except the cricothyroid muscleCricoid cartilage, arytenoid cartilages, corniculate cartilageVagus nerve (X), recurrent laryngeal nerveRight 6th aortic arch: pulmonary arteryLeft 6th aortic arch: pulmonary artery and ductus arteriosus Ref: Langman Embryology, 11 Edition, pg. 277